Centre of air pollution control by WHO –
1. Hyderabad
2. Bombay
3. Nagpur
4. Kanpur

Correct answer: 3. Nagpur